Sentinel lymph node biopsy is an important part of the management of which of the following conditions?
1. Carcinoma prostate
2. Carcinoma breast
3. Carcinoma lung
4. Carcinoma nasopharynx

Correct answer: 2. Carcinoma breast

Explanation: Ans. is 'b' i.e., Carcinoma Breast Sentinel node is first node to receive drainage from the tumor site. The node is most likely to contain metastasis, if metastasis to that regional lymph node basin is present. Thus the biopsy of sentinel lymph node, helps to decide whether lymph node dissection of that lymphatic region should be done or not. This thus avoids the morbidity of lymph node dissection in patients with negative nodes. Sentinel lymph node biopsy is done in - Melanoma - Breast cancer The utility of sentinel lymph node biopsy is being examined in other cancers such as esophageal, gastric, colon and head and neck cancers. (Ref. Schwartz 8/e)